Hallpike manoever is done in
1. Benign paroxysmal positional vertigo
2. Meniere's disease
3. Tinnitus
4. Acoustic Neuroma

Correct answer: 1. Benign paroxysmal positional vertigo

Explanation: (A) Benign paroxysmal positional vertigo# BENIGN PAROXYSMAL POSITIONAL VERTIGO (BPPV) is a disorder arising in the inner ear. Its symptoms are repeated episodes of positional vertigo, that is, of a spinning sensation caused by changes in the position of the head.> BPPV is the most common cause of the symptoms of vertigo.> The Dix-Hallpike test is a common test performed by examiners to determine whether the posterior semicircular canal is involved. It involves a reorientation of the head to align the posterior semicircular canal (at its entrance to the ampulla) with the direction of gravity. This test will reproduce vertigo and nystagmus characteristic of posterior canal BPPV.> The Heimlich maneuver is different from Hallpike manoever which is an emergency technique for preventing suffocation when a person's airway (windpipe) becomes blocked by a piece of food or other object.